All are true regarding hyper IgE syndrome except:
1. Inheritance is as a single locus autosomal dominant trait with variable expression
2. Coarse facial features
3. Recurrent staphylococcal abscesses involving skin, lungs
4. High serum lgE with low igG, lgA and lgM

Correct answer: 4. High serum lgE with low igG, lgA and lgM

Explanation: Hyper IgE syndrome or Job's syndrome:Broad nose, kyphoscoliosis, osteoporosis, and eczemaPrimary teeth erupt normally but do not deciduateRecurrent sinopulmonary and cutaneous infections which are less inflamed (cold abscesses)IgE level is increased but others like IgG, IgA, and IgM are normal(ref:Harrison's 17/e p384, 2061; 18/e p482)